intellectual disability can be proved if delayed milestones and slow or retarded growth seen upto which age (in year)?
1. 12
2. 16
3. 18
4. 20

Correct answer: 3. 18

Explanation: Ans. is 'c' i.e., 18 year